Climbing fibres of cerebellar cortex are ?
1. Olivocerebellar fibres
2. Spinocerebellar fibres
3. Pontocerebellar fibres
4. Vestibulocerebellar fibres

Correct answer: 1. Olivocerebellar fibres

Explanation: Input (afferent) cerebellum comes from two fibres.1) Climbing fibres (olivocerebellar fibres) bring information from inferior olivary nuclei only.2) Mossy fibres bring infrormation from all other parts of the body.